If a person has an arterial blood pressure of 125/75 mm Hg:
1. The pulse pressure is 40 mm Hg
2. The mean arterial pressure is 92 mm Hg
3. Diastolic pressure is 80 mm Hg
4. Systolic pressure is 120 mm Hg

Correct answer: 2. The mean arterial pressure is 92 mm Hg

Explanation: Ans. B. The mean arterial pressure is 92 mm HgBy convention, the first of the two numbers is the systolic pressure and the second is the diastolic pressure.Pulse pressure =125-75 mm Hg= 50 mm HgMean arterial pressure = Diastolic pressure + one third of pulse pressure= 75 mm Hg + 50 mm Hg/3= 92 mm Hg